Drug of choice in postpartum hemorrhage resistant to oxytocin and Ergomterine:
1. Carboprost
2. Dinoprostone
3. Dinoprost
4. Misoprostol

Correct answer: 1. Carboprost

Explanation: Treatment for PPH - IV oxytocin ( 10 - 20 units drip ) ( DOC ) .when oxytocin given in bolus it can cause profound hypotension. thus, oxytocin should be given as a dilute solution by continuous intravenous infusion IV methyl ergometrine 0.2 mg ( peak act at 90 sec ) - IM also can be given Tab misoprostol ( PGE1 ) - 1000 mg / rectum Injection carboprost ( PGF2 a) * IM only * IV - sudden HTW